A drug is shown to activate dopaminergic D1 and D2 and adrenergic α and β1 but not β2 receptors. Which of the following can be the drug being talked about?
1. Dopamine
2. Dobutamine
3. Methoxamine
4. Phenylephrine

Correct answer: 1. Dopamine